UNDP works as
1. The main source of funds for child health
2. The main source of funds for technical assistance
3. The Source of funds for research and development
4. Education source for developing countries

Correct answer: 2. The main source of funds for technical assistance